Under the MTP Act, termination of pregnancy can be done by:
1. Any registered medical practitioner (RMP)
2. Any RMP with MD/MS degree in Obs and Gynae
3. Any RMP with 6 months residency in any depar intent
4. Any RMP with a minimum of 3 months residency in Obs and Gynae

Correct answer: 2. Any RMP with MD/MS degree in Obs and Gynae

Explanation: Ans. Any RMP with MD/MS degree in Obs and Gynae